Which of the following statements concerning the circulatory system is true?
1. Occlusion of a functional end artery does not result in cell death
2. Veins generally have thicker walls than arteries
3. All veins have valves
4. Blood in a portal vein passes from one capillary bed to another

Correct answer: 4. Blood in a portal vein passes from one capillary bed to another

Explanation: A portal vein connects one capillary bed to another. In humans, the hepatic portal vein connects the intestinal capillaries with the sinusoids of the liver. The blood, along with blood from the proper hepatic artery, enters the central vein after passing through the sinusoids, and then enters the hepatic veins and the inferior vena cava. The direction of blood flow through an artery is determined by the pressure gradient and may change from moment to moment. Not all veins have valves. For example, the portal vein and all of the veins that drain into it do not have valves. Valves are most prominent in the veins of the limbs. Ref - Harrison's internal medicine 20th edition .